Variconazole is not effective against-
1. Aspergillosis
2. Mucormycosis
3. Candida albicans
4. Candida tropicalis

Correct answer: 2. Mucormycosis

Explanation: Ans. is 'b' i.e., Mucormycosis o Amongst azole, only posaconazole is active against mucormycosis. o Voriconazole is used for i) Invasive aspergillosis (voriconazole is the DOC) Candida infection iii) Pseudollescheria boydii (Scedosporium apiospermum) infection iv) Fusarium infection